Thrombocytopenia due to increased platelet destruction is seen in
1. Aplasti anemia
2. Cancer chemotherapy
3. Acute leukemia
4. Systemic lupus erythematosus

Correct answer: 4. Systemic lupus erythematosus